Which of the following is not true for hemophilia A
1. Hemophilia A is due to deficiency of factor VIII
2. In hemophilia A females are carriers
3. Desmopressin is useful in the management of hemophilia A
4. Levels of factor VIII Less than 50% are associated with spontaneous hemorrhage

Correct answer: 4. Levels of factor VIII Less than 50% are associated with spontaneous hemorrhage